The Von Meyenburg complexes is suggestive of :
1. Caroli's disease
2. Bile Duct hamartomas
3. Liver metastasis
4. EHBA

Correct answer: 2. Bile Duct hamartomas

Explanation: *Tiny T2W hyperintense cystic lesions noted in the both lobes of liver with no obvious communication with the biliary tract suggestive of biliary hamartomas or Von Meyenburg Complex. *Multiple biliary hamartomas are multiple benign hepatic lesions, also known as Von Meyenburg complexes *It is asymptomatic and usually found incidentally, where it is important to differentiate from other causes of multiple liver lesions, particularly metastases,Caroli's disease and hepatic cysts *Associations-Autosomal dominant polycystic kidney disease (ADPKD), Polycystic liver disease *Caroli's Disease - multiple cystic dilations communicating with biliary tree showing central dot sign.